All are true about propofol except:
1. Causes vomiting
2. Has rapid recovery rate
3. Used for induction and maintenance of anesthesia
4. Cause sedation

Correct answer: 1. Causes vomiting